Quarantine is related to>
1. Minimum incubation period
2. Maximum incubation period
3. Serial interval
4. Generation time

Correct answer: 2. Maximum incubation period

Explanation: Ans. is 'b' i.e. Maximum incubation period Quarantine - has been defined as The limitation of freedom of movement of such well person or domestic animals exposed to communicable disease for a period of time no longer than the longest usual incubation period of the disease in such a manner to prevent effective contact with those not so exposed. "Also KnowIsolation -- It is the oldest communicable disease control measure.- It is defined as "separation for the period of communicability of infected persons or animals from others, as to prevent or limit the direct or indirect transmissions of the infectious agent from those injected to those who are susceptible, or who may spread the agent to others"In contrast to isolation, quarantine applies to restriction on the healthy contacts of an infectious disease. *